Hesselback triangle- False is?
1. Indirect inguinal hernia occurs through it
2. It is laterally bounded by inferior epigastric artery
3. it is also known as inguinal triangle
4. Inferior boundary is inguinal ligament

Correct answer: 1. Indirect inguinal hernia occurs through it

Explanation: Ans. is 'a' i.e., Indirect inguinal hernia occurs through itInguinal triangle of hesselbach:It is a peritoneal triangle in the posterior wall of the inguinal canal,BoundariesLateral- inferior epigastric arteryMedial-lateral border of rectus abdominisInferior- inguinal ligamentDirect inguinal hernia enters the inguinal canal through this triangle, which is divided by the obliterated umbilical artery into a medial part (supravesical fossa) and a lateral part (medial inguinal fossa).